A patient presented with multiple nodulocystic lesions on the face. The drug of choice is :
1. Retinoids
2. Antibiotics
3. Steroids
4. UV light

Correct answer: 1. Retinoids

Explanation: A i.e. Retinoids